In Fracture acetabulum, late complication is -
1. Osteoarthritis
2. Tardy sciatic nerve palsy
3. Recurrent Dislocation
4. None of the above

Correct answer: 1. Osteoarthritis

Explanation: In the longer term, the common problem is the development of hip osteoarthritis. Other possible problems include AVN of femoral head and heterotopic ossification (bone formation).